How many episodes of vulval candidiasis per year make its recurrent vulvovaginal candidiasis
1. 1
2. 2
3. 3
4. 4

Correct answer: 4. 4

Explanation: Vulvovaginal candidiasis:Vulvovaginal candidiasis is considered recurrent when at least four specific episodes occur in one year(or)At least three episodes unrelated to antibiotic therapy occur within one year